One of the following plants is an ideal cattle poison:
1. Nerium odorum
2. Calotropis
3. Abrus precatorius
4. Cerebra thevetia

Correct answer: 3. Abrus precatorius

Explanation: Abrus precatorius is commonly used as cattle poison in Indian villages. The toxic principle is injected into the animal in the form of fine needle-shaped structures called 'suis'. Seeds are also used as abortifacient and as arrow poison.